Not true obstructive sleep appoea
1. Nocturnal asphyxia
2. Alcoholism is a cofactor
3. Prone to hypertension
4. Overnight oximetry is diagnostic to replace polysomnography

Correct answer: 4. Overnight oximetry is diagnostic to replace polysomnography

Explanation: Ans. is 'd' i.e., Overnight oximetry is diagnostic to replace polysomnography Cardinal features in adults include: Obstructive apneas, hypopneas, or respiratory effort related arousals Daytime symptoms attributable to disrupted sleep, such as sleepiness, fatigue, or poor concentration Signs of disturbed sleep, such as snoring, restlessness, or resuscitative snos Clinical presentation Most patients with OSA first come to the attention of a clinician because the patient complains of daytime sleepiness, or the bed partner reports loud snoring, gasping, snoing, or interruptions in breathing while sleeping. Daytime sleepiness, distinct from fatigue, is a common feature of OSA Sleepiness is the inability to remain fully awake or alert during the wakefulness portion of the sleep-wake cycle. Snoring is the other common feature of OSA. While snoring is associated with a sensitivity of 80 to 90 percent for the diagnosis of OSA, its specificity is below 50 percent. Clinical features of obstructive sleep apnea (OSA) Daytime sleepiness Obesity Nonrestorative sleep Large neck circumference Loud snoring Systemic hypertension Witnessed apneas by bed partner Hypercapnia Awakening with choking Cardiovascular disease Nocturnal restlessness Cerebrovascular disease Insomnia with frequent awakenings Cardiac dysrhythmias Lack of concentration Narrow or "crowded" airway Cognitive deficits Pulmonary hypertension Changes in mood Cor pulmonale Morning headaches Polycythemia Vivid, strange, or threatening dreams Floppy eyelid syndrome Gastroesophageal reflux Nocturia Polysomnography Full-night, attended, in-laboratory polysomnography is considered the "gold-standard diagnostic" test for OSA. It involves monitoring the patient during a full night's sleep. Unattended, out of centre sleep "(OCST) may be used as an alternative to polysomnography for the diagnosis of OSA in patients with a high pre-test probability of moderate to severe OSA, provided there are no medical comorbidities such as heart failure that predispose to alternative or additional sleep related breathing disorders. The diagnosis of OSA is based upon the presence or absence of related symptoms, as well as the frequency of respiratory events during sleep (ie, apneas, hypopneas, and respiratory effort related arousals IRERAsJ as measured by polysomnography or out-of-center sleep testing (OCST). In adults, the diagnosis of OSA is confirmed if either of the two conditions exists: There are "fil_y" or more predominantly obstructive respiratory events (obstructive and mixed apneas, hypopneas, or RERAs) per hour of sleep (for polysomnography) or recording time (for OCST) in a patient with one or more of the following: Sleepiness, nonrestorative sleep, fatigue, or insomnia symptoms. Waking up with breath holding, gasping, or choking. Habitual snoring, breathing interruptions, or both noted by a bed partner or other observer Hypertension, mood disorder, cognitive dysfunction, coronary artery disease, stroke, congestive heart failure, atrial fibrillation, or type 2 diabetes mellitus There are 15 or more predominantly obstructive respiratory events (apneas, hypopneas, or RERAs) per hour of sleep (for polysomnography) or recording time (for OCST), regardless of the presence of associated symptoms or comorbidities